True about treatment of personality disorder:
1. Antipsychotic drugs are used
2. SSRI used in treatment
3. Behaviour therapy
4. All

Correct answer: 4. All

Explanation: A, B, C i.e. Antipsychotic drugs are used, SSRI used in treatment, Behaviour therapy